In psoriasis, the following are seen except:
1. Nail changes
2. Arthritis
3. CNS involvement
4. Skin involvement

Correct answer: 3. CNS involvement

Explanation: Psoriasis is characterized by red, scaly, sharply demarcated indurated plaques present particularly over extensor surfaces and scalp. Nail involvement is seen with all types of psoriasis and is frequently present with psoriatic arthropathy. An inflammatory arthritis is associated with psoriasis of skin and/or nails with a negative serological test. CNS involvement is not seen with psoriasis.